Antihelminthic also acting as immunomodulator is:
1. Albendazole
2. Levamizole
3. Mebendazole
4. Piperazine

Correct answer: 2. Levamizole

Explanation: Levamizole